In civil cases, conduct money is decided by:
1. Opposite party
2. Judge
3. Doctor
4. Witness

Correct answer: 2. Judge

Explanation: Ans. Judge